Spigelian hernia is a type of hernia occurring at:
1. Medial border of rectus abdominis
2. Lateral border of rectus abdominis
3. Lumbar region
4. Femoral canal

Correct answer: 2. Lateral border of rectus abdominis

Explanation: Hernia through Spigelian fascia. Located at Infra umbilical region (below arcuate line)